In a chalazion with multiple recurrences at the same site the incision and currettage should be:
1. Followed by cauterisation with carbolic acid
2. Preceded by cryotherapy
3. Preceded by intralesional injection of triamcinolone
4. Replaced by excision biopsy

Correct answer: 4. Replaced by excision biopsy

Explanation: Ans. Replaced by excision biopsy